Most severe form of hereditary spherocytosis is caused by the mutation of:
1. Ankyrin
2. Alpha spectrin
3. Beta spectrin
4. Band 3

Correct answer: 2. Alpha spectrin

Explanation: (Refer: Robbins Pathologic Basis of Disease, 8thedition, pg no: 640-641)
Common Gene Mutations in Hereditary Spherocytosis